Which of the following cranial nerve does not content parasympathetic motor (GVE) fibers?
1. III
2. VI
3. IX
4. X

Correct answer: 2. VI

Explanation: The abducent nerve consists of general somatic efferent fibres only.The general visceral efferent (GVE) supply the glands and smooth muscles of vessels and viscera.The nuclei of GVE column are Edinger Westphal nucleus, Superior and inferior salivatory nucleus, lacrimatory nucleus, dorsal nucleus of vagus.(Ref: Vishram Singh textbook of clinical neuroanatomy, second edition pg 92)